Treatment of P. Vivax malaria
1. Chlorquine
2. Primaquine
3. Chlorquine + Primaquine
4. None

Correct answer: 3. Chlorquine + Primaquine

Explanation: P.vivax cases should be treated with chloroquine in full therapeutic dose of 25mg/ kg divided over 3 days. Vivax malaria relapses due to presence of hypnozoites in the liver. For its prevention, primaquine may bd given at a dose of 0.25 mg/kg daily for 14 days under supervision Reference; Park's Textbook of preventive and social medicine, 24th edition.Pg no. 279